Which vitamin deficiency is responsible for neonatal seizures?
1. Pyridoxine
2. Vitamin C
3. Thiamine
4. Cobalamin

Correct answer: 1. Pyridoxine

Explanation: Differential diagnosis of neonatal seizure: Hypoxic-ischemic encephalopathy (Most common cause) Intracranial hemorrhage Infection Hypoglycemia Hypocalcemia, hypomagnesemia Hyponatremia Disorders of amino and organic acid metabolism, hyperammonemia Pyridoxine deficiency Developmental defects Drug withdrawal Benign familial neonatal seizures Ref: Thilo E.H., Rosenberg A.A. (2012). Chapter 2. The Newborn Infant. In W.W. Hay, Jr., M.J. Levin, R.R. Deterding, J.J. Ross, J.M. Sondheimer (Eds), CURRENT Diagnosis & Treatment: Pediatrics, 21e.